Erethism occur in -
1. Hg
2. As
3. Pb
4. Cu

Correct answer: 1. Hg

Explanation: Erethism is seen in mercury poisoning.